A 70-year-old man comes to the emergency department because of a skin rash and severe itching. He appears ill; there is a generalized skin rash that is scaly, erythematous, and thickened. His palms, soles, and scalp are also involved. Which of the following is the most likely diagnosis?
1. pemphigus vulgaris
2. rosacea
3. erythroderma (exfoliative dermatitis)
4. dermatitis herpetiformis

Correct answer: 3. erythroderma (exfoliative dermatitis)

Explanation: Exfoliative dermatitis is a rare skin condition, but because of its severity, patients with this syndrome are often admitted to a hospital. The syndrome can be primary, appearing in otherwise healthy individuals, or secondary to malignancy, contact dermatitis, drugs, or other dermatologic diseases (e.g., psoriasis). Even mild cases require systemic treatment for the severe itching. Antihistamines are usually the first choice.